Not true about . kidney is -
1. Rt. kidney is preferred over the left for transplantation
2. It is lower than the left kidney
3. Rt. renal vein is shoer than the left
4. Rt. kidney is related to the duodenum

Correct answer: 1. Rt. kidney is preferred over the left for transplantation

Explanation: Ans. is 'a' ie. Rt. kidney is preferred ..... It is left kidney, not Rt. that is preferred for transplantation because it has a longer renal vein which simplifies the transplantation operation.